16-year-old girl with short height, amenorrhea with widely spaced nipple. Karyotyping is;
1. 45 X0
2. 46 XO
3. 47 XXX
4. 46XY

Correct answer: 1. 45 X0

Explanation: Given features suggests the diagnosis of Turner's syndrome. Turner's syndrome Most common sex chromosomal disorder in phenotypic females. Results from complete or partial loss of one X chromosome (45, XO) Features: Short stature Coarctation of aorta Cubitus valgus Streak ovaries, infertility, amenorrhea Peripheral lymphedema at birth Low posterior hairline Webbing of neck Broad chest and widely spaced nipples